Which of the following cyanotic congenital heart disease is associated with increased risk of chest infections?
1. Tetrology of Fallot
2. Tricuspid atresia
3. Truncus arteriosus
4. None of these

Correct answer: 3. Truncus arteriosus

Explanation: Ans. C. Truncus arteriosusCyanotic congenital heart diseases associated with decrease in pulmonary blood flow are tetrology of Fallot (TOF) and tricuspid atresia (TA). Cyanotic congenital heart diseases associated with increase in pulmonary blood flow are transposition of great arteries (TGA), truncus arteriosus, total anomalous pulmonary venous return (TAPVR), and hypoplastic left heart syndrome. Risk of chest infections are increased when pulmonary blood flow is increased.